Most common CNS neoplasm in HIV patient -
1. Meduloblastoma
2. Astrocytoma
3. Primary CNS lymphoma
4. Ependymoma

Correct answer: 3. Primary CNS lymphoma

Explanation: neuropathologic changes were demonstrated at postmortem examination in as many as 80% to 90% of cases, owing to direct effects of the virus on the nervous system, opportunistic infections, and primary CNS lymphoma. Introduction of highly active antiretroviral therapy(HAART) has decreased the frequency of these secondary effects of HIV infection. However, cognitive dysfunction ranging from mild to full-blown dementia that is lumped under the umbrella term HIV-associated neurocognitive disorder (HAND) continues to be a source of morbidity. The cognitive symptoms are believed to stem from HIV infection of microglial cells in the brain. This leads to the activation of innate immune responses, both in infected microglial cells and unaffected bystanders. Robbins Basic pathology 9th edition page no 828